Investigation of choice for a pregnant lady with upper abdominal mass
1. Barium meal
2. MRI
3. CT scan
4. DSA

Correct answer: 2. MRI

Explanation: Ans. MRI